The principle of the stenopaeic slit test is based on:
1. Astigmatic fan
2. The circle of least diffusion
3. Pin-hole phenomenon
4. Sturm's conoid

Correct answer: 3. Pin-hole phenomenon

Explanation: Ans. Pin-hole phenomenon